Programmed cell death is known as
1. Cytolysis
2. Apoptosis
3. Necrosis
4. Proptosis

Correct answer: 2. Apoptosis

Explanation: Apoptosis is a pathway of cell death in which cells activate enzymes that degrade the cells' own nuclear DNA and nuclear and cytoplasmic proteins. Fragments of the apoptotic cells then break off, giving the appearance that is responsible for the name (apoptosis, "falling off"). The plasma membrane of the apoptotic cell remains intact Apoptotic cell death does not elicit an inflammatory reaction in the host ( Robbins Basic Pathology, 9 th edition, page 18 )